Stye is other name of -
1. Chalazion
2. Hordeolum internum
3. Hordeolum externum
4. None of the above

Correct answer: 3. Hordeolum externum

Explanation: Ans. is 'c' i.e., Hordeolum externum o Acute infection of Zeis (Moll) glando Acute infection of tarsal gland (Meibomian gland)o Chronic infection of tarsal gland (Meibonium gland)-Stye (Hardoleum externum)- Hardoleum internum -Chalazion